All of the following increase the 2,3- DPG concentration of red cells except:-
1. Thyroid hormones
2. Growth hormone
3. Androgen
4. Acidosis

Correct answer: 4. Acidosis

Explanation: 2, 3 DPG is formed as : - Glucose inside the red cells undergo glycolysis & when extra oxygen is needed, like in hypoxic conditions, glucose will be diverted to a shunt k/a Rappaport Luebering cycle. And then glucose after glyceraldehyde - 3 phosphate, it will form diphosphate glycerate & 2, 3 Diphosphate glycerate (2, 3 DPG). Then it combines with Hb & displaces O2. Factors affecting 2,3 -DPG | in 2,3-DPG | in 2,3-DPG Chronic hypoxia Anemia Accilimitization Thyroid hormone Growth hormone Stored blood Acidosis But acidosis is known to inhibit glycolysis therefore acidosis is known to decrease 2, 3 DPG concentration.